In Downs syndrome there is?
1. Translocation
2. Mutations
3. Paternal nondisjunction
4. Maternal nondisjunction

Correct answer: 4. Maternal nondisjunction

Explanation: Ans. (d) Maternal nondisjunction(Ref: R 9th/pg 161)Down's syndrome is most commonly caused by Maternal nondisjunction Q > Translocation > Mosaicism